Glyconeogenic capability of cell is determined by the presence of:
1. Pyruvate dehydrogenase
2. Glucose 6 phosphatase
3. Pyruvate carboxylase
4. Fructose 1-6 biphosphatase

Correct answer: 4. Fructose 1-6 biphosphatase

Explanation: D i.e. Fructose 1,6 biphosphate